In the lower motor neuron lesion diseases, there is
1. Spastic paralysis
2. There may be wasting of muscles in long standing cases
3. Exaggerated tendon reflexes
4. Absence of fasciculations

Correct answer: 2. There may be wasting of muscles in long standing cases

Explanation: (B) There may be wasting of muscles in long standing cases # UMN LESION - Spasticity, Weakness, loss of superficial reflexes, brisk DTR, Clonus present, Babinski sign positive, Hypertonia Clasp Knife spasticity)# LMN lesion - Flaccidity, Decreased tone, loss of superficial & deep reflexes, plantar B/L Flexor, Wasting, Fibrillations.Signs That Distinguish Patterns of WeaknessSIGNS THAT DISTINGUISH PATTERNS OF WEAKNESSSignUpper Motor NeuronLower Motor NeuronMyopathicAtrophyNoneSevereMildFasciculationsNoneCommonNoneToneSpasticDecreasedNormal/decreasedDistribution of weaknessPyramidal/ regionalDistal/segmenta 1ProximalTendon reflexesHyperactive Normal/hypoactiveBabinskils signPresentHypoactive/absent AbsentAbsent